Which is the preferred gas for laparoscopy
1. CO2
2. N2O
3. O2
4. N2

Correct answer: 1. CO2